Fixation at which psychosexual stage results in development of OCD-
1. Oral
2. Anal
3. Phallic
4. Genital

Correct answer: 2. Anal

Explanation: Phase Age Organ of Gratification Psychiatric disorders linked to fixation 1 Oral Phase Birth to 1 1/2 years Oral region 2 Phases: Oral erotic phase (sucking) Oral sadistic phase (biting) Schizophrenia Dependent personality disorder Alcohol dependence syndrome 2 Anal Phase 1 1/2 to 3 years Anal and perianal area 2 Phases: Anal erotic phase (excretion) Anal sadistic phase ('holding' and 'letting go' at will) Obsessive compulsive personality traits and disorder OCD (Anal sadistic phase) 3 Phallic (Oedipal) Phase 3 to 5 years Genital areas Males: Sexual gratification towards mother Castration anxiety Oedipus complex Females: Penis envy Electra complex Sexual deviations Sexual dysfunctions Neurotic disorders 4 Latency Phase 5 to 12 years - Special point: Super-ego is formed at this stage Neurotic disorders 5 Genital Phase > 12 years Genitals Neurotic disorders